Adrenocortical carcinoma of size 6cm without invading surrounding structure is classified as :
1. Stage I Adrenocortical carcinoma
2. Stage II Adrenocortical carcinoma
3. Stage III Adrenocortical carcinoma
4. Stage IV Adrenocortical carcinoma

Correct answer: 2. Stage II Adrenocortical carcinoma

Explanation: Mc Farlane classification of Adrenocortical tumour :

Stage I : < sem.
Stage II : > sem.
Stage III : Locally invasive tumour.
Stage IV : Destant metastasis.